A woman presents with amenorrhea of 6 weeks duration and lump in the right iliac fossa. Investigation of choice is:
1. USG abdomen
2. Laparoscopy
3. CT scan
4. Shielded X-ray

Correct answer: 1. USG abdomen

Explanation: Ans. is a, i.e. USG abdomenThe answer is quite obvious and I do not think you need any reference for this one.X-ray and CT scan should be avoided during pregnancy due to risk of radiation exposure.